Most common content in 'Hernia en glissade' is ?
1. Omentum
2. Urinary bladder
3. Caecum
4. Sigmoid colon

Correct answer: 4. Sigmoid colon

Explanation: Ans. is 'd' i.e., Sigmoid colon Most common content On Rt. side --> Cecum On lt. side --> Sigmoid colon - but since left side is much more common than Rt. side (5:1), sigmoid is the obvious choice for the most common content. Other contents may be appendix, urinary bladder, uterus, fallopian tube, ovary or ureter. Hernia en glissade or sliding hernia is defined as any hernia in which part of the sac (usually the post. is formed by the wall of a viscus. - the importance is that the viscera is liable to be injured if the hernial sac is resected during surgery. It should be clearly understood that the caecum, appendix or part of colon wholly within a hernial sac does not constitute a sliding hernia (The viscera must form a wall of the sac to be termed as sliding hernia) Sliding hernia occurs almost exclusively in men. It is seen nearly always over 40 years of age, the incidence rising with age.